The main muscle of opposition is?
1. Abductor pollicis brevis
2. Flexor pollicis brevis
3. Opponens pollicis
4. Adductor pollicis

Correct answer: 3. Opponens pollicis

Explanation: Opponens pollicis - Origin-flexor retinaculum crest of trapezium Insertion- lateral border and adjoining lateral half of planar surface of the 1 St metacarpal bone Actions- Opposition of thumb & deepens the hollow of palm Abductor pollicis Brevis(APB)-abducts the thumb Flexor pollicis brevis(FPB)-flexes the thumb Adductor pollicis adducts the thumb APB, FPB and opponens pollicis are the 3 thenar muscles. Reference: Textbook of anatomy upper limb and thorax, Vishram Singh,2nd edition, page no.144 Figure 11.2,page no:145- Textbook of anatomy- upper limb & thorax - vishram singh